All are the risk factors associated with macrosomia except:
1. Maternal obesity.
2. Prolonged Pregnancy.
3. Previous large infant.
4. Short Stature.

Correct answer: 4. Short Stature.

Explanation: Short statue is not associated with increase in baby size. An average baby of 2.75 to 3.25 Kgs in a short stature woman might be too large for that mother but definitely not a Macrocosmic baby by itself. Criteria for Macrosomia: If the fetal parameters on the growth chart are beyond the 90th percentile for normal or the fetal weight is more than 4000 gms Risk factors for macrosomia include maternal obesity maternal diabetes or GDM previous large baby grand multiparity prolonged pregnancy